Racemic mixture of two enantiomers with different pharmacokinetic and pharmacodynamic properties is seen in:
1. Dilantin
2. Digoxin
3. Verapamil
4. Octreotide

Correct answer: 3. Verapamil